Abnormal function of epithelial chloride channel protein is the cause of
1. Ehlers Danlos syndrome
2. Marfan syndrome
3. Cystic fibrosis
4. Diabetes insipidus

Correct answer: 3. Cystic fibrosis